DNA is detected by -
1. Southern blot
2. Northern blot
3. Western blot
4. Eastern blot

Correct answer: 1. Southern blot

Explanation: DNA fragments obtained by restriction enzyme digestion and separation on the gel can be transferred from the gel by blotting to nitrocellulose that binds the DNA. The DNA bound to the membrane is denatured and treated with radioactive single-stranded DNA probes. These will hyhybridizeith homologous DNA to form radioactive double stranded segments, which can be detected on X X-rail. This highly sensitive technique for identifying DNA fragments by DNA-DNA hybridization is called Southern blotting. It Reference: Anathanarayan & paniker's 9th edition, pg no:65